Selective beta 2 agonist is
1. Isoprenaline
2. Pirbuterol
3. Dobutamine
4. Mirabegron

Correct answer: 2. Pirbuterol

Explanation: Pirbuterol is a beta 2 agonist like salbutamol used for COPD and asthma. Ref: KDT 6th ed pg 129-132